The protective effects of breast milk are known to be associated with ___________
1. IgM antibodies
2. Lysozyme
3. Mast cells
4. IgA antibodies

Correct answer: 4. IgA antibodies

Explanation: Human milk contains high concentrations of secretory IgA that prevent microorganisms from adhering to the intestinal mucosa. These protect against many infections. Ref: Page 215; Nelson textbook of pediatrics; 18th edition